Cat scratch disease is caused by:
1. Streptobacillus moniliformis
2. Spirillum minus
3. B. henselae
4. Orientia tsutsugamushi

Correct answer: 3. B. henselae

Explanation: Streptobacillus moniliformis causes HAVERHILL Fever. Spirillum minus causes Rat Bite fever B.Henselae cause Cat Scratch Disease,Bacillary angiomatosis Orientia tsutsugamushi Scrub Typhus